Dysthymia is
1. Chronic mild depression
2. Chronic severe depression
3. Bipolar disorder
4. Personality disorder

Correct answer: 1. Chronic mild depression

Explanation: Persistent mood disorders are characterised by persistent mood symptoms which last for more than 2 years but are not severe enough to be labelled as even hypomania or mild depressive episode. If the symptom consists of persistent mild depression, the disorder is called as dysthymia (Ref: A short textbook of psychiatry, Niraj Ahuja,7th edition, pg no73)